Delta gap compares?
1. Change in Anion gap w chloride only
2. Change in Anion gap w sodium and potassium
3. Change in Anion gap w bicarbonate
4. Change in Anion gap w to Sodium only

Correct answer: 3. Change in Anion gap w bicarbonate

Explanation: Delta gap = Change in anion gap - Change in Bicarbonate >6 = Met alkalosis <-6 = Met acidosis